18 yrs. old hears voices discussing him in third person has:
1. Schizophrenia
2. Depression
3. Mania
4. Phobia

Correct answer: 1. Schizophrenia

Explanation: Ans. is 'a' Schizophrenia 3rd Person hallucination is Characteristics of Schizophrenia.